Shelf life of Platelets is
1. < 5 days
2. < 3 weeks
3. < 5 weeks
4. < 2 years

Correct answer: 1. < 5 days

Explanation: Shelf life of Platelets is < 5 days Cryoprecipitate is 2 years.